Who is regraded as father of public health?
1. Louis pasture
2. Cholera
3. John snow
4. Robert Koch

Correct answer: 2. Cholera

Explanation: Cholera which is often called "father of public health " appeared time and again in western world during 19th century Reference; Park's Textbook of preventive and social medicine, 24th edition.Pg no.5